Bullae of bullous pemphigoid are -
1. Intraepidermal
2. Subepidermal
3. Subdermal
4. None

Correct answer: 2. Subepidermal

Explanation: Ans. is 'b' i.e., SubepidermalIntra-epidermal immunobullous disorderSub-epidermal immunobullous disorder1. Pemphigus vulgaris1. Bullous pemphigoid2. Pemphigus vegetan2. Mucous memb. Pemphigoid3. Pemphigus foliaceu3. Pemphigoid gestationalis4. Pemphigus erythmatosus4. Linear IgA disease5. Intercellular IgA dermatosis5. Epidermolysis bullosa aquisita6. Paraneoplastic Pemphigus6. Dermatitis herpetiformis